An 18 year old boy comes to the eye casuality with history of injury with a tennis ball. On examination there is no perforation but there is hyphaema. The most likely source of the blood is:
1. Iris vessels
2. Circulus iridis major
3. Circulus iridis minor
4. Short posterior ciliary vessels

Correct answer: 2. Circulus iridis major

Explanation: Traumatic hyphaema (blood in the anterior chamber) occurs due to injury to the iris or ciliary body vessels. The circulus iridis major gives off branches to the ciliary processes. Ref:Comprehensive Ophthalmology By AK Khurana, 4th Edition, Page 404